Which route is most preferred for Endopthalmitis treatment
1. Oral antibiotic
2. Intravenous antibiotic
3. Topical antibiotic
4. Intravitreal antibiotic

Correct answer: 4. Intravitreal antibiotic

Explanation: Answer- D. Intravitreal antibioticIntravitreal antibiotics is the most preferred mode of treatment.